Cause of clostridium difficile associated diarrhea -
1. Trauma
2. Dairy products
3. Fried rice
4. Antibiotic use

Correct answer: 4. Antibiotic use

Explanation: Prolonged broad spectrum antibiotic therapy is the most important risk factor for Clostridium difficile associated diarrhea
Ref: Apurba Sastry’s Essentials of Medical Microbiology 1/e p265, Ananthanarayan 9/e p265